Basanti 23 years old pregnant woman (First trimester) presents with features of dilated cardiomyopathy. Which of the following drugs you will NOT give to treat her:
1. Digoxin
2. ACE inhibitors
3. Diuretics
4. Vasodilators

Correct answer: 2. ACE inhibitors

Explanation: ACE inhibitors CONTRAINDICATION OF ACE INHIBITORS Bilateral renal artery stenosis, Single kidney, Pregnancy , Hyperkalemia